The commonest cause of obstructive hydrocephalus in children is
1. Aqueductal stenosis
2. Dandy walker syndrome
3. Subarachnoid hemorrhage
4. Tubercular meningitis

Correct answer: 1. Aqueductal stenosis

Explanation: ETIOLOGY OF HYDROCEPHALUSCommunicating/non-obstructiveNon-communicating/obstructivePostmeningiticAqueductal stenosisposthemorrhagicDandy-walker/Chiari malformationChoroid plexus papillomaTuberculosisObstructive /non-communicating hydrocephalus develops most commonly in children due to aqueductal stenosis.Non-obstructive hydrocephalus most commonly occurs due to subarachnoid hemorrhage which is usually a result of intraventricular hemorrhage in a preterm infant.